Adrenergic beta-receptors having lipolysis property in fat cells is:
1. Alpha-1
2. Alpha-2
3. Beta-1
4. Beta-3

Correct answer: 4. Beta-3

Explanation: Ans. (D) Beta-3(Ref: KDT 8th/e p139, 142)Beta 3 receptors are present on adipose tissue (cause lipolysis), coronary artery (cause vasodilation) and on urinary bladder (cause relaxation).